Which of the following condition is true about Barrett oesophagus
1. Squamous to coulmanr metaplasia
2. Coulmanr to squamous metaplasia
3. Does not increase risk of malignancy
4. None of the above

Correct answer: 1. Squamous to coulmanr metaplasia

Explanation: Refer Robbins page no Pg 7579/e Damage to the lower portion of the tube that connects the mouth and stomach (oesophagus). Barrett's oesophagus is usually the result of repeated exposure to stomach acid. It's most often diagnosed in people with long-term gastro-oesophageal reflux disease (GERD). * The protein AGR2 is elevated in Barrett's esophagus and can be used as a biomarker for distinguishing Barrett epithelium from normal esophageal epithelium. The presence of intestinal metaplasia in Barrett's esophagus represents a marker for the progression of metaplasia towards dysplasia and eventually adenocarcinoma